Marker of ovarian reserve, estimated for infertility:-
1. Antral follicle size
2. LH/FSH ratio
3. Inhibin A
4. Anti-mullerian hormone

Correct answer: 4. Anti-mullerian hormone

Explanation: Ovarian reserve tests are to assess the quantity as well as the quality of primordial Follicles present in the women's ovary Test for ovarian reserve Serum day 3 FSH levels Serum inhibin B levels Clomiphene citrate challenge test Serum anti mullerian hormone (AMH): It is produced by the granulosa cells of the preantral small follicles Antral follicle count ( AFC) Serum estradiol levels